An 8-year-old mentally retarded child presents with left side flank pain.  On ultrasound hyperecoice lesion is seen in right kidney and multiple lesions in the liver.  CT scan of abdomen shows -50 to -60 HU density of the lesions in kidney and liver.  The most probable diagnosis is:
1. Familial angiolipomatosis
2. ADPKD
3. VHL
4. Tuberous sclerosis

Correct answer: 4. Tuberous sclerosis

Explanation: (Refer: Nelson’ss textbook of pediatrics, 19th edition, pg no: 2049-2052)
Tuberous sclerosis (Bourneville's disease/ Epiloa)

Autosomal dominant inheritance.
Mutations in TSC-1 gene at 9q - encodes Tuberln.
Mutations inTSC-2 gene at 16 p - encodes Hamartin.